Which of the following is not a natural composite?
1. Enamel
2. Dentin
3. Hydroxyapatite crystals
4. None

Correct answer: 3. Hydroxyapatite crystals

Explanation: Composite literally meaning “made up of several parts or elements.”
Enamel and dentine acts as composite structure. 
Hydroxyapatite crystals acts as ﬁller.